The main corneal mechanism holding the LASIK flap in place after surgery is
1. Endothelial pump
2. Stromal collagen adhesions
3. Bowman's layer-stromal adhesions
4. Endothelial-Descemet's membrane forces

Correct answer: 1. Endothelial pump

Explanation: In LASIK surgery after creating a corneal flap and ablating the midstromal tissue , the flap is reposited back without sutures. The main mechanism holding the flap is corneal endothelial pumps.